Main blood supply to the head and neck of femur comes from:
1. Lateral circumflex femoral Artery
2. Medial circumflex femoral Artery
3. Artery of Ligamentum Teres
4. Popliteal Artery

Correct answer: 2. Medial circumflex femoral Artery

Explanation: Most of the blood supply to the head and neck of femur is supplied by the medial circumflex femoral artery, its retinacular and epiphyseal branches included. Medium circumflex femoral artery is an artery that branches from the deep femoral artery and it supplies the medial part of the thigh and hip joint muscles. Ref: Merriam Websters medical dictionary, by Merrium Webster, Page 400; Campbell's Operative Orthopaedics 10th/2908.